Non Alcoholic steatohepatitis is seen in all, except:
1. Diabetes
2. Obesity
3. Hypertriglyceridemia
4. Gall stone disease

Correct answer: 4. Gall stone disease

Explanation: Answer is D (Gall stone disease): Causes of Non Alcoholic Fatty Liver Disease (NAFLD) or Non Alcoholic Steato hepatitis (NASH) Obesity (present in > 40% cases) Diabetes mellitus (present in > 20% cases) Hyperiglyceredemia (>20%) Endocrinopathies (Cushing's and hypopituitarism, PCOS) Metabolic disorders (Hyperbetahpoproteinemia) Obstructive sleep apnea Starvation and Refeeding syndrome Total parentral Nutrition Medications and poisons - Corticosteroids - diltiazem - irinotecan - Antiretroviral therapy - Amiodarone - tamoxifrn - oxaliplatin - CCI4 & Yellow phosphorus